Which among the following is the function of Sertoli cells?
1. Testosterone secretion
2. Seminal fluid secretion
3. Aid in spermiogenesis
4. All of the above

Correct answer: 3. Aid in spermiogenesis

Explanation: Sertoli cells are columnar or pyramidal cells that largely envelop cells of the spermatogenic lineage and function as supporting cells or nurse cells. Each Sertoli cell supports 30-50 germ cells at various stages of development. Sertoli cells have several specific functions within the seminiferous epithelium, mostly involving the blood-testis barrier: Support, protection, and nutrition of the developing spermatogenic cells Exocrine and endocrine secretion Phagocytosis Ref: Mescher A.L. (2010). Chapter 21. The Male Reproductive System. In A.L. Mescher (Ed), Junqueira's Basic Histology: Text & Atlas, 12e.